The amino acid which undergoes most significant hepatic oxidative deamination which is used for urea synthesis is
1. Glutamine
2. Glutamate
3. Aspartate
4. Arginine

Correct answer: 2. Glutamate